Muscle of palate, which works around hamular notch and forms a tendon is:
1. Levator palatine
2. Palatopharyngeus
3. Tensor palatine
4. Stylopharyngeus

Correct answer: 3. Tensor palatine